"Tell-show-do" technique of child management was
introduced by
1. Bandura
2. Addleston
3. Coope
4. Wright

Correct answer: 2. Addleston